A 39-year-old carpenter has taken two bottles of liquor from the local shop. After about an hour he develops confusion, vomiting, and blurring of vision. He has been brought to the emergency out patient. He should be given -
1. Naloxone
2. Diazepam
3. Flumazenil
4. Ethyl alcohol

Correct answer: 4. Ethyl alcohol

Explanation: Symptoms of confusion, vomiting and blurring of vision after taking country liquor suggest the diagnosis of methyl alcohol poisoning.
Among the given options, ethyl alcohol is used in methyl alcohol poisoning.